Most specific but late Radiographic feature of Scurvy is
1. Ground Glass appearance of Shaft of long bones
2. Pencil Outlining of Epiphysis
3. White line of Frankel
4. Trummerfeld Zone at the Metaphysis

Correct answer: 4. Trummerfeld Zone at the Metaphysis

Explanation: Laboratory Findings and Diagnosis of ScurvyThe diagnosis of vitamin C deficiency is usually based on the characteristic clinical picture, the radiographic appearance of the long bones, and a history of poor vitamin C intake. The typical radiographic changes occur at the distal ends of the long bones and are particularly common at the knees. The shafts of the long bones have a ground-glass appearance because of trabecular atrophy. The cortex is thin and dense, giving the appearance of pencil outlining of the diaphysis and epiphysis. The white line of Frankel, an irregular but thickened white line at the metaphysis, represents the zone of well-calcified cartilage. The epiphyseal centers of ossification also have a ground-glass appearance and are surrounded by a sclerotic ring. The more specific but late radiologic feature of scurvy is a zone of rarefaction under the white line at the metaphysis. This zone of rarefaction (Trummerfeld zone), a linear break in the bone that is proximal and parallel to the white line, represents the area of debris of broken-down bone trabeculae and connective tissue. A Pelkan spur is a lateral prolongation of the white line and may be present at cortical ends.Reference: Nelson Textbook of Paediatrics; 20th edition; Chapter 50; Vitamin C (Ascorbic Acid)